Which of the following cell does not have cytotoxic activity -
1. NK cells
2. Cytotoxic T-cells
3. Helper T-cells
4. Antibody dependent cells

Correct answer: 3. Helper T-cells

Explanation: Ans. is 'c' i.e., Helper T-cells Cytotoxicity of different cells* Natural killer cellsNot antibody dependentNot MHC restricted* Cytotoxic T-cellsClass I MHC restrictedNot antibody dependent* Antibody dependent cytotoxic T-cells (ADCC) (a type of null cell)Antibody dependentNot MHC restricted